Glass holding cast is also known as:
1. Coll's cast
2. Smith's cast
3. Sarmento cast
4. Scaphoid cast

Correct answer: 4. Scaphoid cast

Explanation: D i.e. Scaphoid cast